Alpha1 antitrypsin gene is on which chromosome?
1. Chr 11
2. Chr12
3. Chr 13
4. Chr 14

Correct answer: 4. Chr 14

Explanation: d. Chr 14(Ref: Nelson 20/e p 1941, 2053)a1-Antitrypsin deficiencyIt is caused by mutation in SERPINA1 gene (chr 14q), which has autosomal recessive inheritance.a1-Antitrypsin, a protease inhibitor synthesized by liver, protects lung tissue from destruction by neutrophil elastase;Most common allele of protease inhibitor (Pi) system is M & the normal phenotype is PiMM.